All of the following statements about Fanconi's anemia are true, Except.
1. Autosomal dominant inheritance
2. Hypocellular Bone Marrow
3. Congenital Anomalies
4. Usually normocytic / macrocytic cell morphology

Correct answer: 1. Autosomal dominant inheritance

Explanation: Answer is A (Autosomal dominant inheritance): Fanconi's anemia is primarily inherited as an autosomal recessive disorder and not as an autosomal dominant disorder. Fanconi's Anemia is inherited as an Autosomal Recessive / X- Linked disorder There are currently 13 known subtypes of faticotti's Anemia. With the exception of one subtype (Subtype B) which is X-linked recessive, all other subtypes of Fanconi's anemia follow an autosomal recessive pattern of inheritance. - Wintrobe's Hematology Fanconi's Anemia is associated with Pancytopenia and Hypocellular Bone Marrow `Once pancytopenia develops, the bone marrow is hypocellitlar. - API Textbook of medicine Fanconi's anemia is associated with progressive bone marrow failuree Pancytopeniae develops insidiously and presents in most cases between the ages of 5 and 10 years Bone marrow may show normal cellularity initially, however with progressive bone marrow failure pancytopenia develops and the bone marrow becomes hypocellular. Fanconi's anemia is usually normochronic, normocytic or macrocvtic Fanconi's anemia is a form of inherited hypoproliferative aplastic anemia. `The hypoproliferative anemias are normochronic, normocvtic or macrocytic and are charachterized by a low reticulocyte count' - Fe-Mee/1i 'S Anemia NO17110C17MIllie- Normoevtie > NOMOC171'0117iC - Macroevtic. Fanconi's Anemia is associated with several congenital disorders Fanconi's Anemia manifests as congenital developmental anomalies, progressive pancytopenia and an increased risk of malignancy- Harrison's I7"'/665